A series of ulcers in lower extremities in sub-Himalayan area is often caused by:
1. Trichophyton rubrum
2. Pseudallescheria boydii
3. Cladosporium species
4. Sporothrix schenckii

Correct answer: 4. Sporothrix schenckii

Explanation: Ans. (d) Sporothrix schenckii Thermally dimorphic fungus lives as saprophyte on plants. Infection results from inoculation into subcutaneous tissue after minor trauma. Nursery worker, florist, gardeners acquire the illness from roses, and other plants. Usual manifestation is nearly painless red papule at the site of inoculation, over the next several weeks similar nodules forms along proximal lymphatic channels. The nodules may ulcerate. Thus series of ulcer may form. Diagnosis : - In skin lesion the organism is hard to find. Culture of pus or a skin biopsy is preferred method of diagnosis. Treatment: Potassium iodide Itraconazole.